Pubarche is due to ?
1. GH
2. Progesterone
3. Testosterone
4. Estrogen

Correct answer: 3. Testosterone

Explanation: Ans. is 'c' i.e., Testosterone